Regarding trastuzumab, all of the following are true except :
1. Shows better response in combination with paclitaxel
2. Used in non-metastatic breast cancer
3. Causes upregulation of HER2/neu
4. Do not cause bone marrow toxicity

Correct answer: 3. Causes upregulation of HER2/neu